The treatment of congenital glaucoma is-
1. Essentially topical medications
2. Trabeculoplasty
3. Trabeculotomy with trabeculectomy
4. Cyclocryotherapy.

Correct answer: 3. Trabeculotomy with trabeculectomy

Explanation: Ans. is 'c' i.e. Trabeculectomy with trabeculectomy Treatment of congenital glaucoma:Treatment of congenital glaucoma is primarily surgical. However I.O.P. must be lowered by the following agents till surgery is doneHyper osmotic agentsAcetazolamideb Blockers Surgical procedures: -GoniotomyTrabeculectomyCombined trabeculectomy and trabeculectomy - It is now the preferred surgery with better resultsCongenital glaucoma has been discussed in detail in earlier papers.